During the Window period of patient with AIDS -
1. ELISA is -ve
2. Western Blot is -ve
3. Both are -ve
4. PCR is -ve

Correct answer: 3. Both are -ve

Explanation: sero negative infective stage is known as the window period REF:ANANTHANARAYANAN TEXT BOOK OF MICROBIOLOGY 9EDITION PGNO.579